Monoclonal antibody against Nerve growth factor approved for chronic pain in patients with osteoarthritis and chronic low back pain is:
1. Denosumab
2. Tanezumab
3. Alirocumab
4. Romosozumab

Correct answer: 2. Tanezumab

Explanation: Tanezumab: Nerve growth factor (NGF) was first identified as a substance that is essential for the development of nociceptive primary neurons and later found to have a role in inflammatory hyperalgesia in adults. Tanezumab is an investigational humanized monoclonal antibody, binds to and inhibiting NGF for the treatment of chronic pain in patients with osteoarthritis and chronic low back pain. NGF levels increase in inflammation or in chronic pain states. By inhibiting NGF, tanezumab may help to keep pain signals produced by muscles, skin and organs from reaching the spinal cord and brain. Denosumab - used in treatment of Osteoporosis. Alirocumab- Monoclonal antibody that target PCSK9. Used for lowering of LDL cholesterol. Romosozumab- monoclonal antibody against sclerostin. Used for treatment of post menopausal osteoporosis.